A 2 yr old boy presents with short stature, cryptorchidism and congenital heart disease. On examination, the child was also found to have absent nails and polydactyly. Likely diagnosis is:
1. Ellis-van Creveld syndrome
2. Rubinstein- Taybi syndrome
3. Turner syndrome
4. Edward syndrome

Correct answer: 1. Ellis-van Creveld syndrome

Explanation: Syndrome Features Ellis-van Creveld syndrome Also called 'chondroectodermal dysplasia' Chondrodystrophy, polydactyly, ectodermal dysplasia, CHD (Single atrium, VSD). Genitourinary anomalies -hypospadias, epispadias, hypoplastic penis, cryptorchidism, vulvar atresia Rubinstein- Taybi syndrome Microcephaly, ptosis, beaked nose with low-lying philtrum, Broad thumbs and large toes, Intellectual disability , VSD Turner syndrome Only in females; Webbed neck, short stature, Lymphedema of hand & feet Impaired fertility seen Edward syndrome VSD, ASD, PDA, coarctation of aorta, bicuspid aortic or pulmonary valve